DIC is seen most commonly seen in which AML type?
1. M2
2. M3
3. M4
4. M5

Correct answer: 2. M3

Explanation: ANSWER: (B) M3REF: Wintrobes Clinical Hematology 11thedchapter 3Acute Promyelocytic Leukemia (AML tl5; 17) (q22;ql2) Acute promyelocytic leukemia (APL) is diagnosed in less than 10% of all AML cases. A variant of APL is knowm as microgranular M3 (or hypogranular) because the granulation is significantly less than in the traditional M3. Accurate diagnosis of APL is important because of the danger of potentially fatal disseminated intravascular coagulation, which can be initiated by procoagulants contained in the granules.